Impotency may be seen in:
1. Mumps orchitis
2. Testosetrone deficiency
3. Prolactinoma
4. All of the above

Correct answer: 4. All of the above

Explanation: Ans. D: All of the abovePhysiological aspect:The hypothalamus releases GnRH in a pulsatile nature which appears to be essential for stimulating the production and release of both luteinizing hormone (LH) and follicle stimulating hormone (FSH).LH and FSH are produced in the anterior pituitary and are secreted episodically in response to the pulsatile release of GnRH.LH and FSH both bind to specific receptors on the Leydig cells and Sertoli cells within the testis. Testosterone, the major secretory product of the testes, is a primary inhibitor of LH secretion in males.Testosterone may be metabolized in peripheral tissue to the potent androgen dihydrotestosterone or the potent estrogen estradiol.These androgens and estrogens act independently to modulate LH secretion.The mechanism of feedback control of FSH is regulated by a Sertoli cell product called inhibin.Decreases in spermatogenesis are accompanied by decreased production of inhibin and this reduction in negative feedback is associated with reciprocal elevation of FSH levels.Prolactin also has a complex inter-relationship with the gonadotropins, LH and FSH.In males with hyperprolactinemia, the prolactin tends to inhibit the production of GnRH.In individuals with elevated prolactin levels who are given testosterone, libido and sexual function do not return to normal as long as the prolactin levels are elevated.Hromonal causes of impotency:Hormone disorders account for fewer than 5% of cases of impotence.Testosterone deficiency, which occurs rarely, can result in a loss of libido (sexual desire) and loss of erection.Among other conditions, an excess of the hormone prolactin, caused by pituitary gland tumor, reduces levels of testosterone.Hormone imbalances can also result from kidney or liver disease.Other causes:Mumps is known to cause testicular failure.A varicocele can reduce hormonal production as well.